The newborn heart rate is about -
1. 120 - 160 /min
2. 160 - 180 /min
3. 180 - 200 /min
4. 200 - 220 /min

Correct answer: 1. 120 - 160 /min

Explanation: Ans. is 'a' i.e., 120-160/min